The following is inhibitory agent in neuron:
1. Glycine
2. Glutamine
3. Aspartate
4. NO

Correct answer: 1. Glycine

Explanation: Glycine